Terrestrial radiation is maximum in –
1. Karnataka
2. Orissa
3. West Bengal
4. Kerala

Correct answer: 4. Kerala